Which of following is not true about Traction-
1. Skeletal traction is better than skin traction in patient with Femur fracture
2. Maximum weight which can be given in skeletal traction is 25% of body weight
3. Skin traction is preferred in pediatric patients
4. K-nail is used commonly to give skeletal traction

Correct answer: 4. K-nail is used commonly to give skeletal traction

Explanation: Option A and B - skeletal traction is always better than skin traction as the maximum capacity of weight which can be hanged is much more in skeletal traction. Skin traction can bear maximum of 5-7 kg weight while skeletal traction can bear upto 10-25% of body weight. Option C- skin traction is better is pediatric and old age patients as bones in old age are osteoporotic and in pediatric patients ossification centres are not yet fused and strength of bone is not enough to bear skeletal traction. Option D- K nail is not used for traction . K nail is a clover leaf shaped hollow rod used for internal fixation.